In Periapical surgery, which of the following flap designs
limit access to the operative site and often heals with scar formation
1. Envelope
2. Rectangular
3. Semilunar
4. Triangular

Correct answer: 3. Semilunar